Shortest acting benzodiazepine is:
1. Midazolam
2. Alprazolam
3. Lorazepam
4. Diazepam

Correct answer: 1. Midazolam

Explanation: Alprazolam is short acting hypnotic,lorazepam & diazepam are long acting ,while triazolam &midazolam are ultra short acting benzodiazepines . Ref: KD Tripathi 8TH ed